Which wall is most often fractured in a blow out fracture of the orbit due to fistcuff injury
1. Superior wall
2. Inferior wall
3. Medial wall
4. Lateral wall

Correct answer: 2. Inferior wall

Explanation: Blow out fracture is the floor fracture occurring due to blunt trauma Refer khurana 6/e p 404